Most common type of optic nerve glioma is –
1. Gemistocytic
2. Fibrous
3. Protoplasmic
4. Pilocytic

Correct answer: 4. Pilocytic

Explanation: Most common type of optic nerve glioma is juvenile pilocytic astrocytoma.